Acute inflammation resulting from activation of the inflammasome is mediated by the release of which of the following cytokines?
1. TNFa
2. IL-1b
3. IFNa
4. IFNg

Correct answer: 2. IL-1b

Explanation: Inflammasome A cytosolic multiprotein complex Consists of NLRP-3 sensor, an adaptor and inactive Caspase-1 enzyme Triggered by NOD-like receptors (NLRs) which sense ingested microbial particles (pathogenic bacteria) NLRs signal activates that cleaves a precursor form of the cytokine interleukin-1b (Pro IL-1b) to generate the biologically active form (IL-1b) IL-1b is a mediator of inflammation that recruits leukocytes and induces fever Inflammasome pathway may also play a role in mediating inflammation in common disorders such as gout, atherosclerosis, type 2 diabetes